Pugilistic attitude is characteristically seen in -
1. Burns
2. Drowning
3. Electrocution
4. Hanging

Correct answer: 1. Burns